Wounds from revolvers and automatic pistol may be stellate shape in case of:
1. Contact shot
2. Close shot
3. Near shot
4. Distant shot

Correct answer: 1. Contact shot

Explanation: Ans. A i.e. Contact shot